The lateral zones of cerebellum are associated with
1. Globose nucleus
2. Dentate nucleus
3. Emboliform nucleus
4. Fastigeal nucleus

Correct answer: 2. Dentate nucleus

Explanation: Dentate nucleus is associated with Cerebrocerebellum which correspond to lateral zone of cerebellum Ref: Ganong , 25th edition/ page 248